What is the indication of using indocyanine green angiography?
1. Occult choroidal neovascularisation
2. Conjunctivitis
3. Vitreous hemorrhage
4. Corneal ulcer

Correct answer: 1. Occult choroidal neovascularisation

Explanation: Ans. (a) Occult choroidal neovascularisationRef: Kanski 5/e, Ch 14As opposed to fluorescein, indocyanine green is a larger molecule that binds completely to plasma proteins, causing it to remain in the choroidal vessels.